Laminar flow is dependent ona) Critical velocityb) Viscosityc) Constant velocityd) Critical closing pressure
1. ab
2. a
3. ad
4. bc

Correct answer: 1. ab

Explanation: The flow of blood (Laminar or turbulent) depends on
-        Fluid density (S)
-        Tube diameter (D)
-        Velocity of fluid (V)
-        Viscosity of fluid (n)
This can be expressed by Reynold’s number (R) = SDV/n
 
Normal flow is laminar. But if the velocity crosses a critical limit (Critical velocity) flow becomes turbulent. If R>2000, flow is turbulent.